Which of the following is an enrichment media:
1. Alkaline peptone water
2. Monsour's taurocholate Tellurite peptone water
3. Selenite F broth
4. All of the above

Correct answer: 4. All of the above

Explanation: Enrichment media - LIQUID culture media These media are used to suppress commensal bacteria while allowing the pathogen to remain viable and grow. eg - Alkaline peptone water V. cholerae Selenite F-broth Salmonella, shigella Monsour's taurocholate tellurite peptone water V.cholerae